Which of the following comes under concurrent list
1. Prevention of communicable diseases
2. International immigration for quarantine
3. Mines and oilfield workers rules
4. Establishment and maintenance of drug standards

Correct answer: 1. Prevention of communicable diseases

Explanation: Union list- Functions of the Union Government Only * International health regulations and port quarantine * Administration of central institutes (AIIMS) * Promote research and research bodies (ICMR) * Regulation of medical, dental and nursing profession * Establishment and maintenance of drug standards * Census and other data publications * Immigration and emigration * Regulation of labor in working of mine and oil fields * Coordination with states in promotion of health Concurrent List- Responsibilities of Both State End Central Government * Prevention of communicable disease * Prevention of adulteration of food * Control of drugs and poisons * Vital statistics * Labor welfare * Port other than major * Economic and social planning * Population control and family planning Ref:- K Park, 24th ed; pg num:- 915-916